Endemic disease is defined as -
1. Disease occuring regularly in expected frequency
2. Disease occuring irregularly
3. Disease occuring in excess of expected freqency
4. Disease affecting a large population

Correct answer: 1. Disease occuring regularly in expected frequency

Explanation: Ans. is 'a' i.e., Disease occuring regularly in expected frequency Sporadic - Disease occuring irregularly from time to time.Endemic - Disease occuring regularly in expected frequency.Epidemic - Disease occuring in excess of expected frequency.Pandemic - Epidemic affecting a large proportion of population over a wide geographic area.